"Candle-wax spots" in the retina are present in
1. Sarcoidosis
2. Toxoplasmosis
3. Syphilis
4. Tuberculosis

Correct answer: 1. Sarcoidosis

Explanation: (A) Sarcoidosis # OCULAR MANIFESTATIONS OF SARCOIDOSIS:> Anterior segment: Conjunctival involvement has been reported in patients with ocular sarcoidosis.> Sarcoidosis granulomas are solitary, yellow "millet-seed" nodules.> Anterior uveitis occurs in 22%- 70% of patients with ocular sarcoidosis, and is usually granulomatous & chronic.> Iris nodules have been reported in up to 12.5% of patients with sarcoidosis associated uveitis.> Exacerbations of granulomatous uveitis are often associated with an appearance of fresh iris or fundus nodules.> Posterior synechiae, cataract and glaucoma are common complications.> Corneal band keratopathy develops in a few patients and is usually associated with hypercalcemia.> Posterior segment: The most common manifestations at the posterior segment are vitritis, intermediate uveitis, panuveitis, posterior uveitis, retinal vasculitis & optic nerve involvement. Other manifestations include choroidal nodules & exudative retinal detachment.> Overall, patients with chronic posterior uveitis and panuveitis have significantly more complications than do patients with anterior uveitis.> "Candle wax drippings" and "punched-out" lesions can be seen in patients with uveitis secondary to sarcoidosis.